When is pregnancy is terminated in hyperemesis Gravidarum :
1. Increased acetone in urine
2. Decrease in renal output
3. Vomiting is more than 3 months
4. All

Correct answer: 2. Decrease in renal output

Explanation: Ans. is b i.e. Decrease in renal output Indications for Therapeutic termination in Hyperemesis Steady deterioration, in spite of therapy Rising pulse rate of 100/min or more Temperature constantly above 38degC (100.4"F) Gradually increasing oliguria and proteinuriadeg Appearance of jaundicedeg Appearance of neurological complications. gravidarum Extra Edge Vitamin deficiencies associated with hyperemesis gravidarum. - Thiamine deficiency leading to Wernicke encephalopathy. - Vitamin K deficiency. Level of various minerals in hyperemesis gravidarum. - Plasma zinc levels increased. - Plasma copper levels decreased. - Plasma magnesium levels unchanged.